What will be the likely diagnosis in a thirty year old male presenting with epigastric pain radiating to back that wakes him up at night and is relieved by consuming food. He has a past history of surgery for a perforated duodenal ulcer, treated with omental patch and proton pump inhibitors and analgesics:
1. Atrophic Gastritis
2. Duodenal Ulcer
3. Gastric Ulcer
4. Chronic Pancreatitis

Correct answer: 2. Duodenal Ulcer

Explanation: Epigastric pain relieved by food that awakens the patient of night (when stomach is empty) suggests a diagnosis of duodenal ulcer. Gastric ulcer pain is exacerbated by food and usually does not awaken the patient at night. Pancreatic pain is not relieved by food & is typically relieved by bending forwards & worsened on lying down. Ref: Bailey and Love Short Practice of Surgery 24th Edition, Page 1038-9; Current Diagnosis & Treatment in Surgery (CSDT) 13th Edition, Page85.